Non-selective vasopressin receptor antagonist is
1. Tolvaptan
2. Conivaptan
3. Relcovaptan
4. Lixivaptan

Correct answer: 2. Conivaptan

Explanation: Conivaptan is a non-selective vasopressin V1 and V2 antagonistTolvaptan, lixivaptan are selective V2 antagonists used in SIADH.Relcovaptan is a selective V1 antagonist.Ref: HL Sharma 3rd ed Pg 245